The most common termination of lobar pneumonia is-
1. Consolidation
2. Resolution
3. Abscess formation
4. Empyema

Correct answer: 2. Resolution

Explanation: In the usual course of pneumonia, the final stage is a resolution.
However, in some neglected cases following complications may develop -

(i) Abscess formation  
(ii) Organization
(iii) Empyema
(iv) Pleural effusion, pleuritis
(v) Bacteremic dissemination → Brain abscess, endocarditis, meningitis, suppurrative arthritis.